Chemoprohylaxis of chloroquine includes -
1. 300 mg BD/week
2. 600 mg OD/week
3. 600 mg/week
4. 300 mg OD/week

Correct answer: 4. 300 mg OD/week

Explanation: Ans. is `d' i.e., 300 mg OD/week Drug Dose for chemoprophylaxis Chloroquine 300 mg (3 tablets of 100 mg or 2 tablets of 150 mg) once a week or 100 mg/day for 6 day every week Proguanil 400 mg per day (2 tablets of 200 mg) Mefloquine 250 mg once a week Doxycycline 100 mg per day.